Presumptive sign of pregnancy is -
1. Amenorrhoea
2. Fetal cardiac activity
3. Ballottement
4. Hegar sign

Correct answer: 1. Amenorrhoea

Explanation: Ans is 'a' i.e., Amenorrhoea Diagnosis of PregnancyPositive or absolute signsPresumptive symptoms and signsProbable signsPalpation of fetal parts and perception of active fetal movements by examiner at about 20th weekAmenorrhoeaAbdominal enlargementAuscultation of fetal heart soundsFrequency of micturitionBraxton-hicks contractionsUltrasound evidence of embryo/fetusMorning sicknessExternal ballotmentRadiological evidence of fetus 16 weeks or beyondFatigueOutlining the fetus Breast changesChanges in the size shape and consistency of uterusSkin changesJacquemier's signQuickeningSoftening of cervix Osiander's sign Internal ballotment and immunological test